Cavosurface angle for amalgam is:
1. >90°
2. < 90°
3. 90°
4. 0°

Correct answer: 3. 90°

Explanation: The design of the cavosurface angle depends on the restorative material being used. Because of the low edge strength of amalgam and glass-ceramic, a 90-degree cavosurface angle produces maximal strength for these materials.
Sturdevants operative dentistry 7th edition page 132.